Which of the following is not a capsular plate?
1. Portal plate
2. Hilar plate
3. Umbilical plate
4. Cystic plate

Correct answer: 1. Portal plate

Explanation: Fascial plates of liver Hilus Fascial plates of liver hilus, represents a fusion of endoabdominal fascia around the portal structures Fascial plate is formed by: Cystic, Hilar & Umbilical plate Hepatic veins lack endoabdominal fascial investment